All are nuclei of the basal ganglia except :
1. Caudate nucleus
2. Amygdaloid nucleus
3. Lentiform nucleus
4. Dentate nuclei

Correct answer: 4. Dentate nuclei

Explanation: D i.e., Dentate nucleus